The presence of 2 extra pairs of electrons on the oxygen in water molecule results in :
1. Makes water a non-polar solvent
2. Forms covalent bonds in the ice
3. Electro negative charge on water molecule
4. Electro positive charge on water molecule

Correct answer: 3. Electro negative charge on water molecule

Explanation: C ie Electronegative charge on water molecule